Recently used topical NSAID for ophthalmic use
1. Indomethacin
2. Nepafenac
3. Flurbiprofen
4. Oxyphenbutazone

Correct answer: 2. Nepafenac

Explanation: Nepafenac is the newly launched Topical NSAID for ophthalmic use. Nepafenac is an NSAID, usually sold as an eye drop(0.1% solution). It is used to treat pain and inflammation associated with cataract surgery. It is used in the management of cystoids macular edema because of its good penetration into the posterior segment.